In the presence of vasopressin the greatest fraction of filtered water is reabsorbed in which part of the nephron?
1. Proximal tubule
2. Distal tubule
3. Loope of Henle
4. Collecting duct

Correct answer: 1. Proximal tubule

Explanation: The proximal tubule is responsible for reabsorbing ~60% of filtered water irrespective of the presence or abscence of vassopressin. Ref: Harrisons principles of internal medicine, 18th edition, chapter: 277.